Musculocutaneous nerve is injured at the lateral cord of brachial plexus, positive clinical findings would be :
1. Loss of flexion at shoulder
2. Sensory loss on the radial side of the forearm
3. Loss of extension of forearm
4. Loss of extension of the wrist

Correct answer: 2. Sensory loss on the radial side of the forearm

Explanation: Musculocutaneous nerve supplies biceps and brachialis. It also gives sensory supply along the radial side of forearm. When it is damaged, it might show the following :

Flexion at elbow weakened (Biceps & Brachialis).
Supination of semiflexed elbow is affected (Biceps).
Sensory loss on radial side of forearm.